In Allergic rhinitis nasal mucosa is:
1. Pale and swollen
2. Pink and swollen
3. Atrophied
4. Bluish and atrophied

Correct answer: 1. Pale and swollen

Explanation: Ans. is a i.e Pale and swollen Nasal mucosa pale, boggy, swollen and bluish Nasal mucosa congested and swollen (Hypertrophic) Mulberry appearance Pale and atrophied nasal mucosa Allergic rhinitis Vasomotor rhinitis Chronic hypertrophic rhinitis Atrophic rhinitis